If patient has acute salpingitis and peritonitis, then what is the stage of PID?
1. Stage 1
2. Stage 2
3. Stage 3
4. Stage 4

Correct answer: 2. Stage 2

Explanation: Ans. is 'b' i.e., Stage 2Pelvic inflammatory disease (PID) implies inflammation of upper genital tract involving the fallopian tubes as well as the ovaries.The spectrum ranges from mild to moderate and severe PID. Depending upon the severity of tubal damage, Gainesville has described five stages of PID :Stage I - Acute salpingitis without peritonitisStage II - Acute salpingitis with peritonitisStage III - Acute salpingitis with superimposed tubal occlusion or tubo - ovarian complexStage IV -Ruptured tubo - ovarian abscessStage V - Tubercular salpingitis.